In developmental milestones of children, first draws
1. Zero
2. Triangle
3. Quadrangle
4. Rectangle

Correct answer: 1. Zero

Explanation: (A) Zero > Scribbling on paper with a crayon or pencil. The child scribbles spontaneously by 12-24 months, copies arid draws a horizontal or vertical line at 2 years; a circle by 3 years, a cross (plus sign) by 4 years and tilted cross (multiplication sign) by 5 years. He can draw a rectangle by the age of 4 years and a triangle by 5 years.